Which among the following is the epithelial lining of vagina?
1. Stratified squamous non-keratinized
2. Columnar
3. Stratified squamous keratinized
4. Cuboidal

Correct answer: 1. Stratified squamous non-keratinized

Explanation: There are two types of stratified squamous epithelia: nonkeratinized and keratinized. Nonkeratinized epithelium exhibits live surface cells and covers moist cavities such as the mouth, pharynx, esophagus, vagina, and anal canal. Keratinized epithelium lines the external surfaces of the body.